All of the following are peripherally acting muscle relaxants except
1. Dantrolene
2. Pancuronium
3. Succinyl choline
4. Baclofen

Correct answer: 4. Baclofen

Explanation: Baclofen is a GABA - B agonist that acts centrally to produce muscle relaxation.